All the following are true about beta thalassemia trait except
1. Microcytic hypochromic picture
2. Increased HbA2
3. Increased HbF
4. Patient requires blood transfusion

Correct answer: 4. Patient requires blood transfusion

Explanation: Ref Harrison 19 th ed pg 638 Most patients with beta thalassemia trait are asymptomatic and have a minimal or mild anemia. These patients do not require blood transfusions .